shortest acting mydriatic
1. Atropine
2. Tropicamide
3. Homatropine
4. Cyclopentolate

Correct answer: 2. Tropicamide

Explanation: Ans. (b) Tropicamide